Vitamin D is maximum in –
1. Milk
2. Fish fat
3. Eggs
4. Cod liver oil

Correct answer: 4. Cod liver oil

Explanation: Vitamin D is found only in food of animal origin (also vit B12).
 
Dietary sources of vitamin D in decreasing order -
1. Halibut liver oil 
2 Cod liver oil 
3. Shark liver oil 
4. Fish fat
5. Egg
6. Butter
7. Milk